A 20 year old male had pain abdomen and mild fever followed by gastroenteritis. The stool examination showed presence of pus cells and RBCs on microscopy. The etiological agent responsible is most likely to be:-
1. Enteroinvasive E.coli
2. Enterotoxigenic E.coli.
3. Enteropathiogenic E.coli.
4. Enteroaggregative E. coli.

Correct answer: 1. Enteroinvasive E.coli

Explanation: The etiological agent responsible is most likely to be is EIEC (Enteroinvasive E. coli). - Sign of RBCs in stool = invasiveness = EIEC (Enteroinvasive E. coli) - Diarrhea to Dysentery (Similar to Shigellosis). Enteroinvasive E coli (EIEC) produce a disease very similar to shigellosis. EIEC produce disease by invading intestinal mucosal epithelial cells. No RBCs in stool: Enteropathiogenic E.coli. Enteroaggregative E. coli. Enterotoxigenic E.coli.